Best X ray view to visualize superior orbital fissure is
1. Anteroposterior
2. Basal
3. Towne's
4. Caldwell luc view

Correct answer: 4. Caldwell luc view

Explanation: Caldwell luc view is posterioanterior view(PA) Refer khurana 6/e